Which of the following is not a crime:
1. Rape
2. Child Abuse
3. Incest
4. Indecent Assault

Correct answer: 3. Incest

Explanation: Ans. (c) Incest * Incest is Sexual intercourse with close relative. It is not considered as crime in India. * Other acts like rape and indecent actions are considered as crime in India and are punished as and according to law. # Rape: punished under IPC 376 # Adultery: under IPC 497 - now not a Crime in India # Sodomy or any other un-natural sexual activity: punished under IPC 377- now not a Crime in India # Grievous hurt or Indecent assault: punished under IPC 320.